All of the following are true about carcinoma hard palate except:
1. Associated with reverse smoking
2. Most cancers are poorly differentiated and of ulcerative variety
3. Lymphatic metastasis is uncommon
4. Larger tumors require maxillectomy

Correct answer: 2. Most cancers are poorly differentiated and of ulcerative variety

Explanation: CANCER OF HARD PALATE: - SCC of hard palate is rare, Associated with reverse smoking. - Minor salivary gland tumors occur in the hard palate. - Well differentiated and of ulcerative variety. Clinical features - Presents as Painless mass in the roof of the mouth - Lymphatic metastasis is uncommon, mainly to level I and II Treatment: - Smaller tumors: Excision with underlying bone. - Larger tumors: Maxillectomy Radiotherapy is used is advanced lesions.